Ulcer with undermined edges is seen in
1. Malignant ulcer
2. Tubercular ulcer
3. Venous ulcer
4. Diabetic ulcer

Correct answer: 2. Tubercular ulcer

Explanation: Tubercular ulcers typically have undermined edges. Reference: Bailey & Love's Short Practices of Surgery 27th Edition, Page no. 78